Intermittent claudication is
1. Pain at rest
2. Pain at first step
3. Pain at exercise
4. Pain on pressure

Correct answer: 3. Pain at exercise

Explanation: . Ans : (c) Pain at exercise Intermittent claudication & rest pain are the cardinal symptoms of Peripheral arterial disease . Intermittent clarification refers to a pain, ache or sense of fatigue that occurs in affected muscle group with EXERCISE, particularly walking & resolves with rest.